Not true about population pyramid -
1. India has broad base
2. India has narrow base
3. India has narrow apex
4. Developed countries have bulge in the center

Correct answer: 2. India has narrow base

Explanation: Ans. is 'b' i.e., India has narrow base o In countries with high birth rates as ours, population pyramid is broad based conical (narrow apex) because of high birth rate and tapering of population with increase in age.o The pyramid of developing country (e.g. India) has a broad base and a tapering top.o In developed countries, the pyramid generally shows a bulge in the middle and has a narrower base (as in figure given in the question).Percentage distribution by age of the population of India and of the population of Sw itzerland